Canal of Huguier is present in
1. Anterior wall of middle ear
2. Posterior wall of middle ear
3. Lateral wall of middle ear
4. Medial wall of middle ear

Correct answer: 1. Anterior wall of middle ear

Explanation: Canal of Huguier is present in Anterior wall of middle ear Openings in anterior wall of middle ear: 1. Canal for Tensor Tympani Tendon 2. Canal of Huguier for Chorda tympani 3. Opening of Eustachian tube 4. Openings for superior and inferiorcarotico-tympanic nerves carrying sympathetic fibresto the tympanic plexus 5. Opening for tympanic branches of theinternal carotid artery Chorda Tympani Nerve - Branch from Mastoid segment, hangs like a cord in the ME, and exitsfrom anterior wall through Canal of Huguier (present in anterior wall) The petrotympanic fissure is a slit about 2mm long which opensanteriorly just above the attachment of the tympanicmembrane. It receives the anterior malleolar ligamentand transmits the anterior tympanic branch of the maxillary artery to the tympanic cavity. The chorda tympani,which carries taste sensation from the anterior two-thirdsof the same side of the tongue and secretomotor fibres tothe submandibular gland, enters the medial surface of thefissure through a separate anterior canaliculus (canal ofHuguier) which is sometimes confluent with the fissure.